The cranial nerve passing through Dorello canal is
1. 4th
2. 5th
3. 6th
4. 7th

Correct answer: 3. 6th

Explanation: At petrous apex, the abducent nerve takes a sharp turn to pass through Dorello's canal beneath petrosphenoidal ligament.